Neonatal period extends up to –
1. 21 days of life
2. 30 days of life
3. 28 days of life
4. 35 days of life

Correct answer: 3. 28 days of life

Explanation: Neonate (Newborn)

From birth to under four weeks of age (< 28 days), the infant is called neonate.
The neonatal period has been further subdivided into -


Early neonatal period  → the First week of life (< 7 days)
Late neonatal period → 7th to < 28th day

Term neonate (term baby)

Any neonate born between 37 and < 42 weeks (259 - 293 days) of pregnancy irrespective of the birth weight.

Preterm baby

Any neonate born before 37 weeks (<259 days) of pregnancy irrespective of the birth weight.

Post-term baby

Any neonate born at or after 42 weeks (294 days or more) of pregnancy irrespective of the birth weight.